All are true of Dupuytren's contracture except -
1. Usually 4th finger is involved
2. Bilateral disease is rare
3. Surgical release is useful
4. May be associated with Pyronie disease

Correct answer: 2. Bilateral disease is rare

Explanation: Often both hands are affected (Bilateral disease), one more than the other.
The earliest sign is a small thickened nodule in the mid-palm opposite the base of ring finger.
Gradually this extends distally to involve the ring or little finger.
There is a rare, curious association with fibrosis of the corpus Cavernosum.